Lymphocytic colitis -
1. Bloody diarrhoea
2. Intra epithelial lymphocytes
3. Lymphocytes is stools
4. Through Ileoscopy look for peyer's patches

Correct answer: 2. Intra epithelial lymphocytes

Explanation: Lymphocytic colitis

Lymphocytic colitis is characterised by chronic watery, non-bloody diarrhoea and a prominent intraepithelial infiltrate of lymphocytes.
Lymphocytic colitis affects male and female equally.
Pt. presented with 3-20 times non-inflammatory non-bloody watery diarrhoea and accompanied by cramping abdominal pain.
Radiographic studies are unremarkable and endoscopy characteristically reveals normal.
Lymphocytic colitis shows a strong association with autoimmune diseases including celiac disease, Thyroiditis, arthritis and autoimmune gastritis